Hypoxia induced metabolic acidemia is when
1. Umbilical artery blood pH < 7.00
2. HCO3 - concentration > 17.7 mmoI / L
3. Base deficit < 12 mmoI/L
4. None of the above

Correct answer: 1. Umbilical artery blood pH < 7.00

Explanation: Hypoxia induced metabolic acidosis in newborn
Umbilical artery pH < 7.0
HCO3- concentration > 17.7 mmoI / L 
Base deficit > 12 mmoI / L